Opsoclonus - Myoclonus is a phenomenon seen in ?
1. Wilms tumor
2. Neuroblastoma
3. Meningioma
4. Cortical tuberculoma

Correct answer: 2. Neuroblastoma

Explanation: Ans. is 'b' i.e., Neuroblastoma Opsoclonus is a disorder of eye movement characterized by involuntary, chaotic saccades that occur in all directions of gaze. It is frequently associated with myoclonus and ataxia. Opsoclonus-myoclonus may be cancer-related or idiopathic. When the cause is paraneoplastic, the tumors involved are usually cancer of the lung and breast in adults and neuroblastoma in children.